First treatment of flail chest is-
1. O2 administration and analgesia
2. Mechanical ventilation
3. Surgical stabilization
4. Intrapleural analgesia

Correct answer: 1. O2 administration and analgesia

Explanation: Ans is 'a' i.e., O2 administration and analgesia * Currently, treatment consists of oxygen administration, adequate analgesia (including opiates) and physiotherapy.* If a chest tube is in situ, intrapleural local analgesia can be used as well.* Ventilation is reserved for cases developing respiratory failure despite adequate analgesia and oxygen.* Surgery to stabilise the flail chest is currently in use again; it may be useful in a selected group with isolated or severe chest injury and pulmonary contusion who have been shown to benefit from internal operative fixation of the flail segment.